Focal epithelial hyperplasia caused by HPV13 and 32 is also termed as:
1. Coudens disease.
2. Heck's disease.
3. Aconthosis migrans
4. Keratoacanthoma.

Correct answer: 2. Heck's disease.